Routine spirometry can't estimate :
1. FRC
2. VC
3. FEV
4. ERV

Correct answer: 1. FRC

Explanation: A i.e. FRC